Which of the following is not involved in Wernicke's - Korsakoff psychosis:
1. Mamillary body
2. Thalamus
3. Periventricular Grey matter
4. Hippocampus

Correct answer: 4. Hippocampus

Explanation: Answer is D (Hippocampus): Hippocamous is not involved in Wernicke's Korsakoff syndrome. Wernicke-Korsakoff syndrome (WKS) It is the combined presence of Wernicke's encephalopathy (WE) and Korsakoff's syndrome. The cause of the disorder is thiamine (vitamin B1) deficiency, which can cause a range of disorders including beriberi, Wernicke's encephalopathy, and Korsakoff's psychosis. WKS is usually secondary to alcohol abuse. WE is characterized by the presence of a triad of symptoms; Ocular disturbances (ophthalmoplegia) Changes in mental state (confusion) Unsteady stance and gait (ataxia) KS is described as an acute onset of severe memory impairment without any dysfunction in intellectual abilities.The DSM IV lists the following criteria for the diagnosis of Korsakoff's Syndrome: anterograde amnesia Variable presentation of retrograde amnesia One of: Aphasia Apraxia Agnosia A deficit in executive functions. Wernicke-Korsakoff syndrome in alcoholics particularly is associated with atrophy/infarction of specific regions of the brain, especially the mamillary bodies. Other regions include the anterior region of the thalamus (accounting for amnesic symptoms), the medial dorsal thalamus, the basal forebrain, the median and dorsal raphe nuclei, periventricular gray matter, inferior and superior colliculi and the cerebellum.